Synaptic transmission in autonomic ganglion is due to
1. Noradrenaline
2. Acetylcholine
3. Adrenaline
4. Dopamine

Correct answer: 2. Acetylcholine

Explanation: (B) Acetylcholine